The mechanism of action of tetracyclines involves :
1. Binding of a component of the 50S ribosomal subunits
2. Inhibition of translocase activity
3. Blockade of binding of aminoacyl–tRNA to bacterial ribosomes
4. Selective inhibition of ribosomal peptidyl transferase

Correct answer: 3. Blockade of binding of aminoacyl–tRNA to bacterial ribosomes